Which of the following is called as the Dangerous Zone of Eye:
1. Sclera
2. Retina
3. Optic nerve
4. Ciliary body

Correct answer: 4. Ciliary body

Explanation: Ciliary body